5 month old child with hepatomegaly, Ketosis, hyperuricemia and malaise, diagnosis ?
1. Diabetes
2. Urea cycle defect
3. Glycogen storage disease
4. Mucopolysacchridosis

Correct answer: 3. Glycogen storage disease

Explanation: Glycogen storage disorders : hepatomegaly failure to thrive hypoglycemia ketosis acidosis hyperlipidemia intercurrent infections Ref : ESSENTIAL PEDIATRICS,O.P.GHAI, PG NO:636, 7th edition